Glomus tumor is seen in
1. Liver
2. Adrenals
3. Pitutary
4. Finger

Correct answer: 4. Finger

Explanation: GLOMUS TUMOUR, also called as glomangioma, arises from the cutaneous glomus composed of a tortuous arteriole which communicates directly into the venule (Sucquet-Hoyer canal) and these vessels being surrounded by network of small nerves making this lesion very painful. It consists of a mixture of blood spaces, nonmedullated nerve tissue, muscle fibres derived from the wall of the arteriole, with large cuboidal glomus cells--angiomyoneuroma. They are often seen in limbs and common in nail-beds near the finger tips, as purple red swelling. Excision cures the condition. Reference : page 81 SRB'S manual of surgery 5th edition